Which of the following is an important constituent of gram-negative microorganisms that contributes to initiation of the host inflammatory response?
1. Exotoxin
2. Lipoteichoic acid
3. Endotoxin
4. Peptidoglycan

Correct answer: 3. Endotoxin

Explanation: Endotoxin or lipopolysaccharide is an important constituent of the gram-negative outer membrane that contributes to initiation of the host inflammatory response.